Abductor of vocal cords is ?
1. Thyroarytenoid
2. Lateral cricoarytenoid
3. Posterior cricoarytenoid
4. Cricothyroid

Correct answer: 3. Posterior cricoarytenoid

Explanation: Ans. is 'c' i.e., Posterior cricoarytenoid Abductors : Adductors : Tensors : Posterior cricoarytenoid Lateral cricoarytenoid Interarytenoid (transverse arytenoid) Thyroarytenoid (external part) Cricothyroid Cricothyroid Vocalis (internal part of thyroarytenoid)